In case of PSGN complication commonly seen are all except :
1. LVF
2. Hypertensive encephalopathy
3. Hyperkalemia
4. Bleeding diathesis

Correct answer: 4. Bleeding diathesis

Explanation: PSGN complications are –
Acute renal failure
Chronic glomerulonephritis
Chronic renal disease
Congestive heart failure or pulmonary edema
End-stage renal disease
Hyperkalemia
High blood pressure (hypertension)
Nephritic syndrome